Snow storm appearance on an ultrasound is seen in:
1. Chronic ectopic
2. Vesicular mole
3. Hydatid cyst
4. Dermoid cyst

Correct answer: 2. Vesicular mole

Explanation: Ultrasound done in a patient with complete hydatidiform mole demonstrates the uterus to be filled with innumerable tiny cysts described as a snowstorm appearance in the first trimester because of its multiple echogenic foci. There will be no evidence of fetal parts. In the case of a partial mole, a fetus can be identified and the placenta will show partial molar changes. In an ectopic pregnancy, ultrasound shows and empty uterus and an adnexal mass. Free fluid in the pouch of douglas may be noticeable. In an ectopic pregnancy, a tubal ring is seen ( Doughnut or Bogel sign). Ref: Fundamentals of Diagnostic Radiology edited by William E. Brant, page 982.